Best disinfectant for endoscopes is:
1. Hypochlorite
2. Formaldehyde
3. Glutaraldehyde
4. Chlorhexidine

Correct answer: 3. Glutaraldehyde

Explanation: Ref: Russel, Hugo and Ay tiff e's Principles and Practice of Disinfection, Preservation and Sterilization, 4th edition, Page 568Explanation:Activated 2% alkaline glutaraldehyde is used for decontaminating flexible endoscopes.Advantageso Relatively non-corrosiveo Will kill spores with prolonged exposure (3- 10 hours).Disadvantageso Toxic.o Irritant.Possible alternatives:o Orthophthalaldehyde (OPA) peracetic acid.o Chlorine dioxide (ClO2) products (such as Tristel).o Superoxidized water (Sterilox).Advantages of these newer agents are - rapidly sporicidal, mycohactericidal and viricidal.BUT remember - No agent is clearly superior to the others and a thorough assessment needs to be performed before an alternative agent is chosen.Commonly Used DisinfectantsDisinfectantUseActive againstEthyl alcohol*Skin antisepticsBactcncidal but not sporicidalIsopropylalcohol* Disinfection of suture material* Clinical thermometersBactericidal but not sporicidalMethyl alcohol* Cabinets * IncubatorsActive against bacteria and fungal sporesFormaldehyde* OT fumigationBactericidal, Spori cidal and VirucidalGlutaraldehyde* Bronchoscopes* Endoscopes* CystoscopesBactericidal, Spori cidal andVirucidal (less toxic/ irritant)Hypochlorite* Blood spillBactericidal, Spori cidal and VirucidalChlorhexidine* Treatment of woundsBactericidal, Mod erate Sporicidal and VirucidalEthylene oxide* Heart lung machines* Respirators* Dental equipmentBactericidal, Spori cidal and Virucidal i highly penetrating gas)